Interstitial cells (of Leydig) in testes secrete which of the following:
1. nhibin
2. Testosterone
3. Anti-mullerian hormone
4. Aromatase

Correct answer: 2. Testosterone

Explanation: Ans. B: TestosteroneLeydig/Interstitial cells secrete androgenic hormone testosterone at the time of pubertyPrimary cell types of testes(A). Within the seminiferous tubules- Here, germ cells develop into spermatogonia, spermatocytes, spermatids and spermatozoon through the process of spermatogenesis. The gametes contain DNA for fertilization of an ovum- Sertoli cells - the true epithelium of the seminiferous epithelium, critical for the support of germ cell development into spermatozoa. Sertoli cells secrete inhibin.(B). Between tubules (interstitial cells)- Leydig cells - cells localized between seminiferous tubules that produce and secrete testosterone and other androgens important for sexual development and puberty, secondary sexual characteristics like facial hair, sexual behavior and libido, supporting spermatogenesis and erectile function. Testosterone also controls testicular volume.